Which of the following two muscles contract together while climbing a tree?
1. Latissimus dorsi and trapezius
2. Teres major and minor
3. Teres major and pectoralis major
4. Latissimus dorsi and Pectorals major

Correct answer: 4. Latissimus dorsi and Pectorals major

Explanation: Latissimus dorsi action: Adduction, extension, and medial rotation of the shoulder as in swimming rowing, climbing, pulling, folding Pectoralis Major: Helps in climbingRef: BD Chaurasia; Volume 1; 6th edition; Table: 3.2 and 5.2